In supra condylar fracture of humerus, the nerve most commonly injured is
1. Radial nerve
2. Ulnar nerve
3. Median nerve
4. Auxiliary nerve

Correct answer: 3. Median nerve

Explanation: C i.e. Median nerve Anterior interosseous nerve is the most commonly injured nerve with loss of motor- power to flexor pollicis longus & deep flexor to the index finger in extension type supracondylar fractureQ Over all involvement of peripheral nerve in fracture supracondylar humerus is AIN > median nerve > radial nerve > ulnar nerveQ